True about glass holding position of cost
1. Wrist in Plantar flexion
2. Wrist in ulnar devation
3. Extends upto IP joint of thumb
4. Extends upto IP joints of fingers

Correct answer: 3. Extends upto IP joint of thumb

Explanation: Answer- C. Extends upto IP joint of thumbGloss holding position- Cast is given in scaphoid fracture (scaphoid cast)It has following features of the castExtent From proximal 3rd of forearm upto IP joint of thumb and MCP joint of fingersPosition of wrist: Slight (5-15 degree) dorsi flexion and radial deviation.